Hemianopia cortical blindness, amnesia and thalamic pain are associated with the occlusion of -
1. Anterior cerebral artery
2. Middle cerebral artery
3. Posterior cerebral artery
4. Basilar artery

Correct answer: 3. Posterior cerebral artery